Which component transfers four protonsa) NADH-Q oxidoreductaseb) Cytochrome-C oxidasec) Cytochrome C - Q oxidoreductased) Isocitrate dehydrogenasee) Succinate Q reductase
1. ac
2. bc
3. ad
4. b

Correct answer: 1. ac

Explanation: NADH-Q oxidoreductase & 'c' i.e., Cytochrome C - Q oxidoredictase

Complex I (NADH-CoQ reductase) and complex in (CoQ - cytochrome c reductase) pump 4 protons each and complex IV (cytochrome c oxidase) pumps 2 protons.